The teeth that are present at the time of birth are called as
1. Natal teeth
2. Neonatal teeth
3. Both
4. None

Correct answer: 1. Natal teeth